Osteoarthritis not seen in which of the following joints ?
1. Ankle joints
2. Knee joints
3. Hip joints
4. 1st MP joint

Correct answer: 1. Ankle joints

Explanation: Osteoarthritis affects certain joints, yet spares others, commonly affected joints include all the cervical and lumbosacral spine, hip, knee, and first metatarsal phalangeal joint In the hands, the distal and proximal interphalyngeal joints and the base of thumb are affected osteoahits rarely effects ankle joints Refer Harrison principles of internal medicine p 2829